Wire loop lesions are seen in
1. SLE
2. Diabetic nephropathy
3. Benign nephrosclerosis
4. Wegener's granulomatosis

Correct answer: 1. SLE

Explanation: Ref Harrison 17/e p2077; Robbins 8/e p218;9/e p224 Subendothelial deposits create a homogenous thickness iof the capillary wall called wire loop lesson.which can be seen on light microscopy